What is true about Carcinoid tumor:
1. Always benign
2. Kulchitsky cell tumor
3. Present with paroxysmal hypertension
4. Punch biopsy is diagnostic

Correct answer: 2. Kulchitsky cell tumor

Explanation: Ans. (b) Kulchitsky cell tumourRef : Harrison 18th ed. ch. 350* Carcinoid tumors arise from argentaffin cells of the crypts of Lieberkuhn and are found from the distal duodenum to the ascending colon, areas embryologically derived from the midgut.* More than 50% of intestinal carcinoids are found in the distal ileum, with most congregating close to the ileocecal valve.* Most intestinal carcinoids are asymptomatic and of low malignant potential, but invasion and metastases may occur, leading to the carcinoid syndrome.* Carcinoid tumors are classified as# Typical carcinoid # Atypical carcinoid * It can be benign or malignant and presents with secretory diarrhea and flushing.* Diagnosis is made by Octreoscan and urinary 5 H.I.A.A (Hydroxy-indole- acetic acid) levels.* Drug of choice is Octreotide.